Mass media includes the following
1. Audiovisual aids
2. Panel discussion and group discussion
3. Newspapers and television
4. Symposium and seminar

Correct answer: 3. Newspapers and television